Burst fracture is due to
1. Vertical compression
2. Whiplash injury
3. Wedge compression
4. Avulsion fracture

Correct answer: 1. Vertical compression